All of the following are features of metoprolol comparison to propranolol EXCEPT:
1. It is ineffective in suppressing muscle tremor
2. It is safer in diabetics
3. It is less likely to cause bradycardia
4. It is less likely to worsen Raynaud's disease

Correct answer: 3. It is less likely to cause bradycardia